False about gradenigo's syndrome-
1. Retrobulbar pain
2. Otitis media
3. Facial palsy
4. Petrositis

Correct answer: 3. Facial palsy